In deep transverse arrest, all of the following can be done except:
1. Cesarean section
2. Vacuum extraction
3. Kielland forceps
4. Wrigley's forceps

Correct answer: 4. Wrigley's forceps

Explanation: Deep transeverse arrest occurs at the level of ischial spine and hence it cannot be managed by wrigleys forceps which is an outlet forceps basically and forceps cannot rotate the head of body except kielland forceps